Antemortem Abrasions can be confused with:
1. Eczema
2. Ant bite marks
3. Chemical burn
4. Joule burn

Correct answer: 2. Ant bite marks

Explanation: B i.e. Ant bite marks Postmortem ant bites (erosions produced by ants) may produce localized marks which simulate ante mortem abrasionsQ.